Which of the following statements concerning the lateral horn of the spinal cord is true
1. It contains postganglionic parasympathetic neurons
2. . It gives rise to preganglionic sympathetic fibers
3. It gives rise to a spinothalamic tract
4. It is present at all spinal cord levels

Correct answer: 2. . It gives rise to preganglionic sympathetic fibers

Explanation: It gives rise to preganglionic sympathetic fibers Lateral horns carry the autonomic neurons Posterior horns have sensory & anterior horns have motor neurons.